Commonest salivary gland to get stones :
1. Parotid
2. Submandibular
3. Minor salivary gland
4. Sublingual

Correct answer: 2. Submandibular

Explanation: Ans. is 'b' ie. Submandibular Gland [Ref. Bailey & love, 25/e p755 (24/e p. 723, 23/e. p 655)) "Eighty percent of all salivary stones occur in the submandibular gland, 10% occur in parotid, 7% in the sublingual and the remainder occurs in minor salivary glands Bailey & love 23/e